Drug of choice used to treat MRSA is?
1. Metronidazole
2. Vancomycin
3. Imipenem
4. Clindamycin

Correct answer: 2. Vancomycin

Explanation: ANSWER: (B) VancomycinREF: Antibiotic policies: fighting resistance - page 256, Clinical Medicine a Practical Manual for Stud. & pract. by Agarwal - page 372The current drug of choice for serious infections with MRSA remains vancomycin at most institutions'"Vancomycin in a dose of 1 5 mg/kg to a maximum of lgm, given twice a day, is the drug of choice for MRSA. Teicoplanin in a dose of 400 mg/day in a single dose is equally effective"